The following drugs have Significant drug interactions with digoxin except.
1. Cholestyramine
2. Thiazide diuretics
3. Quinidine
4. Amlodipine

Correct answer: 4. Amlodipine

Explanation: Amlodipine is a calcium channel blocker. Digoxin cause an increase in accumulation of intracellular Calcium. Hence there is no significant drug interaction with CCBS (REF.Essentials of medical pharmacology KD TRIPATHI 8th ed.)